Carpal tunnel contains all EXCEPT:
1. Flexor digitorum superficialis
2. Flexor digitorum profundus
3. Median nerve
4. Palmaris longus

Correct answer: 4. Palmaris longus

Explanation: ANSWER: (D) Palmaris longusREF: Keith L Moores anatomy 4th edition p. 472, Apley's system of orthopedics & fracture 8th edition page 247-248, http://en.wikipedia.org/wiki/ Carpal_tunnelRepeat from June 2008CONTENTS OF CARPAL TUNNEL:* A total of nine flexor tendons (not the muscles themselves) pass through the carpal tunnel:1. Flexor digitorum profundus (four tendons)2. Flexor digitorum superficialis (four tendons)3. Flexor pollicis longus (one tendon)A single nerve passes through the tunnel: the median nerve between tendons of flexor digitorum profundus and flexor digitorum superficialisThe median nerve is the most sensitive structure in the carpal tunnel and, therefore, is the most affected.